Association of choledocholithiasis in cholithiasis
1. <5%
2. 15%
3. 20-35%
4. 50%

Correct answer: 2. 15%

Explanation: Choledocholithiasis Found in 6-12% of patients with GB stones Retained stones discovered within 2 years of cholecystectomy Recurrent stones detected >2 years of cholecystectomy Ref: Sabiston 20th edition Pgno : 1494